Chromosomal non-disjunction responsible for all except
1. Down's syndrome
2. Neurofibromatosis type 1
3. Pradderwilli syndrome
4. Angleman syndrome

Correct answer: 2. Neurofibromatosis type 1

Explanation: Answer- B. Neurofibromatosis type 1MonosomyTurner syndrome (45XO)Autosomal trisomyDowns syndrome- Trisomy 2lEdwards syndrome- Trisomy 18Patau syndrome- Trisomy 13Sexchromosome aneuploidyKleinfelter syndromeXYY maleUniparentral disomyPradder willi angleman syndromeMosiacismPallister killian syndromeHypomelanosis of ito